Metabolically active layer of cornea is –a) Endotheliumb) Stromac) Descemet membrane d) Epithelium
1. b
2. c
3. ad
4. ab

Correct answer: 3. ad

Explanation: The most actively metabolizing layers of the cornea are epithelium and endothelium.